Full term Small for date infants are predisposed to -
1. Hypercalcemia
2. CNS infections
3. Hypoglycemia
4. PDA

Correct answer: 3. Hypoglycemia

Explanation: Ans. is 'c' i.e., Hypoglycemia Problems of full term small for date infants (IUGR) o Birth asphyxia o Hypoglycemia o Hypocalcemia o Meconium aspiration syndrome o Infections o Hypothermia o Polycythemia & Hyperviscocity